. Peutz Jeghers polyps present most commonly in
1. Rectum
2. Colon
3. Esophagus
4. Jejunum

Correct answer: 4. Jejunum

Explanation: Jejunum [Ref: Oxford textbook of medicine: Sections 18-33, Volume 3 By David A. Warrell 2005/e p6431 Oxford textbook of medicine writes- "The syndrome stigmata are obvious with multiple pigmented spots on the lips and buccal mucosa, and multiple benign hamartomatous polyps throughout the gastrointestinal tract, most frequently affecting the jejunum." Peutz-Jeghers syndrome is an autosomal dominant syndrome characterized by the combination of hamartomatous polyps of the intestinal tract and hyperpigmentation of the buccal mucosa, lips, and digits. The syndrome is associated with an increased (2%-10%) risk for cancer of the intestinal tract, with cancers reported throughout the intestinal tract, from the stomach to the rectum. There is also an increased risk for extraintestinal malignancies, including cancer of the breast, ovary, cervix, fallopian tubes, thyroid, lung, gallbladder, bile ducts, pancreas, and testicles.